Pulmonary hypertension may occur in all of the following conditions except -
1. Toxic oil syndrome
2. Progressive systemic sclerosis
3. Sickle cell anemia
4. Argemone mexicana poisoning

Correct answer: 4. Argemone mexicana poisoning